Which of the following can lead to gnawing radiating pain?
1. Herpetic stomatitis
2. ANUG
3. Chronic Periodontitis
4. None

Correct answer: 2. ANUG